PQLI (Physical Qualify' Life Index) includes
1. Literacy rate
2. IMR
3. Life expectancy at one age
4. All the above

Correct answer: 4. All the above

Explanation: (D) All the above# PHYSICAL QUALITY OF LIFE INDEX (PQLI)is an attempt to measure the quality of life or well-being of a country. The value is the average of three statistics: basic literacy rate, infant mortality, and life expectancy at age one.> Steps to Calculate Physical Quality of Life: Find percentage of the population that is literate (literacy rate). Find the infant mortality rate, (out of 1000 births) INDEXED Infant Mortality Rate = (166 - infant mortality) x 0.625 Find the Life Expectancy. INDEXED Life Expectancy = (Life expectancy - 42) x 2.7 Physical Quality of Life = (Literacy Rate + INDEXED Infant Mortality Rate + INDEXED Life Expectancy)/3.